The biological oxygen demand (BOD) indicates
1. Organic matter
2. Bacterial content
3. Anaerobic bacteria
4. Chemicals

Correct answer: 1. Organic matter

Explanation: Biological Oxygen Demand (BOD): Is defined as ‘amount of oxygen absorbed by a sample of sewage’ during a specified period (Generally 5 days), at a specified temperature (generally 20° C) for aerobic destruction or use of organic matter by living organisms.
Strong Sewage has BOD > 300 g/litre and Weak Sewage has BOD < 100 g/litre.